Route of infection in Tubercular Pyelonephritis -
1. Ascending
2. Descending
3. Haemotogenous
4. Airborne

Correct answer: 3. Haemotogenous